Which one of the following acts to increase the release of Ca" from endoplasmic reticulum?
1. Inositol triphosphate
2. Parathyroid hormone
3. 1, 25-dihydroxy cholecalciferol
4. Diacylglycerol

Correct answer: 1. Inositol triphosphate

Explanation: Ans. is 'a' i.e., Inositol triphosphateo Inositol triphosphate (IP3) mobilises ca + from endoplasmic reticulum.o Diacylglycerol (DAG) enhances activation of protein kinase C by ca".